Birth weight of all 10 babies born in a nursing home on a day was 2.7 kg. Standard deviation is -
1. 0
2. 1
3. 0.27
4. 2.7

Correct answer: 1. 0

Explanation: Ans. is 'a' i.e., 0.00 o This question is very simple. o Standard deviation is a measure of dispersion from central value. o In the question, there is only one central value (2.7 Kg) as all 10 babies have same weight. Thus, there is no dispersion. o Also, you can get the answer Mean = 2.7+2.7+2.7+2.7+2.7+2.7+2.7+2.7+2.7+2.7 = 2.7 10 (x - = 2.7 - 2.7 = 0 o Thus SD is Zero.